Traumatic anterior dislocation of shoulder with sensory loss in lateral side of forearm and weakness of flexion of elbow joint, most likely injured nerve is:
1. Radial nerve
2. Ulnar nerve
3. Axillary nerve
4. Musculocutaneous nerve

Correct answer: 4. Musculocutaneous nerve

Explanation: D i.e. Musculocutaneous nerve